In an incised wound, all of the following are true, except:
1. It has clean-cut margins
2. Bleeding is generally less than in lacerations
3. Tailing is often present
4. Length of injury does not correspond with length of blade

Correct answer: 2. Bleeding is generally less than in lacerations

Explanation: Ans. Bleeding is generally less than in lacerations